A 40 years old patient with liver dysfunction is scheduled for a surgical procedure. Lorazepam can be used for pre-anaesthetic medication in this patient without concern for excessive CNS depression because the drug is:
1. Selective anxiolytic like buspirone
2. Conjugated directly
3. Reversible by administration of naloxone
4. Forming several active metabolites

Correct answer: 2. Conjugated directly

Explanation: (Ref: Katzung 6/e p450) Lorazepam and oxazepam are the benzodiazepines which are excreted from the body by glucuronide conjugation without phase 1 metabolism in the liver. So these can be used safely in hepatic dysfunction.